Which part of ICA does not give any branch-
1. Cervical
2. Petrous
3. Cavernous
4. Cerebral

Correct answer: 1. Cervical